Sertoli cells secrete:
1. FSH
2. Androgen binding protein
3. Testosterone
4. LH

Correct answer: 2. Androgen binding protein

Explanation: Ref: Rhoades Rodney A Belt David R. Medical Physiology: Principles for Clinical Medicine,, 3rd Edition. Chaper 36. Male Reproductive system. Page 674. (Picture Ref) GK Pal Textbook of Medical Physiology. Chapter 54. Male Reproductive System. Page 440.Explanation:Functions of Sertoli cellGerm cell development - Structural supportNourishment & growth of spermatidPhagocytosis (residual bodies during maturation)Formation of tubular fluidSupport spermiatton - secrete plasminogen activatorEndocrine function (Sertoli cell secretes)Inhibin. Follistatin - | FSHActivin - | FSHMIS (Mullerian Inhibiting Substance) - 8th weak of IULEstrogen - from androgen by aromataseIt has FSH, testosterone (receptors) sensitivity. They do not secrete testosteroneSecretory functionsAndrogen binding Protein (.ABP} - binds with DHT, testosterone & transport to epididymisH- Y antigen - development of gonadsAlso produce Plasminogen activatorBlood Testis Barrier (BTB)Paracrine effect on leydig cell